Antidote of choice for Belladonna poisoning -
1. Disulfiram
2. Atropine
3. Physostigmine
4. Flumazanil

Correct answer: 3. Physostigmine

Explanation: Ans. is 'c' i.e., Physostigmineo Antidote of choice for belladonna (atropa belladonna or atropine) poisoning - Physostigmine.PoisonAntidotesAcetominaphen (paracetamol)N-Acetyl cysteineNitrites, cyanidesAmyl nitrite + sodium nitrite + sodium thiosulphateOrganophosphates (anticholinesterase)Atropine and oximesDigoxinDizibind or digoxin immune FabEthylene glycol, methanol, ethanolFomipizoleHeroin (opioids)Naloxone or nalmefene or naltrexoneBenzodiazepineFlumazenilDhatura/ atropine / antihistaminicsPhysostigmineActue iron poisoningDeferoxamineAcute arsenic poisoningDimercaprol / BALOxalic acidCalcium gluconateStrychinineShort acting barbituratesNote: Cooper sulphate is a poison itself, but it is used as an antidote in phosphorus poisoning.